Deformity associated with ulnar nerve injury is:
1. Wrist drop
2. Simon hand
3. Claw hand
4. Ape thumb deformity

Correct answer: 3. Claw hand

Explanation: Ans:C.)Claw Hand. An ulnar claw, also known as claw hand, or 'Spinster's Claw' is an abnormal hand position that develops due to a problem with the ulnar nerve. A hand in ulnar claw position will have the 4th and 5th fingers extended at the metacarpophalangeal joints and flexed at the interphalangeal joints. The patients with this condition can make a full fist but when they extend their fingers, the hand posture is referred to as claw hand. The ring- and little finger can usually not fully extend at the PIP joint. This can be commonly confused with the "Hand of benediction", which is caused by high (at elbow level) median nerve damage.